Example of Court of Appeal:
1. Sessions court
2. Magistrate's court
3. Coroner's court
4. High Court

Correct answer: 4. High Court

Explanation: Ans. High Court